Pictorial diagram of Frequency distribution is
1. Histogram
2. Pic chart
3. Spot map
4. Bar chart

Correct answer: 1. Histogram

Explanation: Histogram is pictorial diagram of frequency distribution.
Histogram represent condineous quantitative data.